The best example of a proto-oncogene activated by point mutation is -
1. Ras
2. N-myc
3. L-myc
4. Abl

Correct answer: 1. Ras